Twin pregnancy predisposes to:
1. Hydramnios
2. Pregnancy induced hypertension
3. Malpresentation
4. All of the above

Correct answer: 4. All of the above

Explanation: Maternal complications atepaum hyperemesis Hydramnios Preeclampsia Pressure symptoms Anaemia Antepartum haemorrhage Gestational diabetes (refer pgno:180 sheila textbook of obstetrics 2 nd edition)